Incidence of ectopic pregnancy is highest with :
1. O.C. pills
2. Copper T
3. Multiload IUCD
4. Progestasert

Correct answer: 4. Progestasert

Explanation: Progestasert